Mets form prostatic carcinoma are common in
1. Liver
2. Kidney
3. Bone
4. Brain

Correct answer: 3. Bone

Explanation: Through batson plexus cancer spreads through bone.